Criteria for mitral valvotomy includes all except?
1. Significant symptoms
2. Isolated mitral stenosis
3. Mobile non calcified valve
4. Left atrial thrombus

Correct answer: 4. Left atrial thrombus

Explanation: Mitral valvuloplasty -Dilatation of mitral annulus and will enhance the possibility of left atrial thrombus to embolise to systemic circulation. For critical MS- Balloon valvotomy is recommended to reduce PCWP and symptoms. In case of calcification of valve-Pliability of valves is reduced-Balloon Valvotomy is not recommended. For left atrial thrombus anti-coagulation using Warfarin is recommended.